Bharat Nirman is directed towards:
1. Industrialization
2. Control of malnutrition
3. Rural infrastructure
4. All of the above

Correct answer: 3. Rural infrastructure

Explanation: Bharat Nirman is a time bound business plan over 4 year period 2005-2009 for action in rural infrastructure. Ref: National Health Programmes in India, J.Kishore, 10th edition pg: 69